All of the following favour the diagnosis of PCOS except
1. Elevated LH
2. Reversed estradiol : estrone ratio
3. Reduced SHBG level
4. Reduced serum insulin level

Correct answer: 4. Reduced serum insulin level

Explanation: BIOCHEMICAL MARKERS OF PCOD LH level is elevated and/or ratio of LH:FSH is > 3:1 Reversed estradiol:estrone ratio- The estrone level is markedly elevated. SHBG level is reduced. Androstenedione level is elevated. Serum testosterone and DHEA may be marginally elevated. Raised serum insulin level (ratio of fasting glucose: fasting insulin is < 4.5)